Congenital vaginal foam tablet 'today' contains ______
1. Nonoxynol 9
2. Octoxynol 8
3. Menfegol
4. None of the above

Correct answer: 1. Nonoxynol 9

Explanation: 'Today' contains nonoxynol 9. Today: It is a mushroom-shaped polyurethane disposal sponge. 2 inches in diameter, 1.25 inches thick and contains 1 g of nonoxynol-9. It is provided with a loop for its easy removal. It should be placed high up in the vagina with the concave side covering the cervix. It can remain effective for 24 hrs. It is used only once. It acts as a mechanical barrier and prevents entery of sperms into the cervical canal, absorbs semen and contain a spermicidal agent. Failure rate: 9-16 per 100 woman years. Ref: Online resources